Waddling Gait is seen in -
1. Unilateral developmental dysplasia of hip
2. Bilateral Developmental Dysplasia of Hip
3. Slipped Capital Femoral Epiphysis
4. Perthes Disease

Correct answer: 2. Bilateral Developmental Dysplasia of Hip

Explanation: Ans. is 'b' i.e., Bilateral Developmental Dysplasia of Hip o In a bilateral congential dislocation of hip the gait is described as 'duck like waddle (Waddling gait)' or 'sailor's gait and consists of an inclination to the side on which the weight is bom (lurching gait on both side). In unilateral cases the child lurches towards affected side. This is known as abductor lurch or Trendelenburg gait.Other GaitsGaitPatternCauseAntalgic or painful gaitTime taken on the affected leg is reduced Body weight is shifted quickly to the normal leg.Painful condition of the legStiff hip gaitLifts the pelvis, and swings it forward with leg in one pieceTB hip, Rheumatoid hip, Ankylosing, SpondylitisStiff knee gaitThe leg is circumducted and brought forward in order to get clearance.TB knee, Painful stiff kneeHand- knee gaitThe person walks with hand on the knee to prevent the knee from buckling in a quadriceps deficient knee with flexion deformity.PolioHigh stepping gait or Foot drop gaitDue to drop of the foot, the leg is lifted more in order to get clearance.First to touch the ground is the forefoot, and not the heel.Common peroneal nerve palsy, Sciatic nerve palsyScissor gaitLegs are crossed in front of each other while walking due to spasm of the adductors of the hipCerebral PalsyGluteus maximus lurchThe body swings backwards every time weight is borneGluteus maximus paralysis in polio